Golden yellow jelly fungus is ?
1. T tursurans
2. T montegrophytes
3. Trenella mesenterica
4. E floccosum

Correct answer: 3. Trenella mesenterica

Explanation: Ans. is 'c' i.e., Trenella mesenterica The term jelly fungus is sometimes applied to any fungus with a jelly like fruiting body, but it is especially appropriate for the members of a group of texa traditionally assigned to the order Tremellales. Largest genus is Tremella, which consists of about 80 species. Tremella mesenterica (witches butter) is a commonly encountered species which has orange to golden yellow fruiting bodies. Therefore it is also called as golden yellow jelly fungus or yellow brain or yellow trembler.